Which of the following statements about inhalation anaesthetic agents is wrong ?a) Sevoflurane is more potent than isofluraneb) Sevoflurane is less cardiodepressant than isofluranec) Desflurane has lower blood–gas partition coefficient than sevofluraned) Sevoflurane has a higher MAC than isoflurane
1. ac
2. ab
3. ad
4. bc

Correct answer: 2. ab

Explanation: Sevoflurane (MAC - 2.0%) is less potent than isoflurane (MAC - 1.15%).
Desflurane has minimum B : G partition coefficients
Sevoflurane and isoflurane has similar myocardial depression.